All of the following characteristic pattern seen in Brown Sequard syndrome; except:
1. Ipsilateral weakness
2. Ipsilateral loss of position and vibration
3. Ipsilateral loss of pain and temperature
4. Contralateral loss of pain and temperature

Correct answer: 3. Ipsilateral loss of pain and temperature

Explanation: Brown-Sequard syndrome: Hemisection of the spinal cord characterized by: damage to ascending sensory (dorsal column pathway, ventrolateral spinothalamic tract) descending motor (corticospinal tract) pathways The lesion to fasciculus gracilus or fasciculus cuneatus leads to ipsilateral loss of discriminative touch, vibration, and proprioception below the level of the lesion. The loss of the spinothalamic tract leads to contralateral loss of pain and temperature sensation beginning one or two segments below the lesion. Damage to the corticospinal tract produces weakness and spasticity in certain muscle groups on the same side of the body.